Moisture contamination of amalgam can lead to:
1. Marginal breakdown
2. Shrinkage
3. Delayed expansion
4. Increased stresses

Correct answer: 3. Delayed expansion